A G2P1A0 presents with full-term pregnancy with tranverse lie in the first stage of labour. On examination, cervix is 5 cm dilated, membranes are intact and fetal heart sounds are regular. What would be the appropriate management in this case :
1. Wait for spontaneous evolution and expulsion
2. External cephalic version
3. Cesarean section
4. All

Correct answer: 3. Cesarean section

Explanation: Cesarean section